Influence of condylar path over movements of mandible can be recorded using
1. Lateral records
2. Protrusive records
3. Centric records
4. Retrusive records

Correct answer: 2. Protrusive records

Explanation: Protrusive interocclusal record enables condylar guidance of articulator to be set to an approximation of paths of condylar movements of the mandible.